Most common type of polio is ?
1. Non-paralytic polio
2. Paralytic polio
3. Abortive illness
4. Inapparent infection

Correct answer: 4. Inapparent infection

Explanation: Ans. is `d' i.e., Inapparent infection